Which is activated for nuclear fragmentation in apoptosis -
1. Caspases
2. Apaf - 1
3. Oxygen free radicals
4. All

Correct answer: 1. Caspases

Explanation: Caspases and endonuclease cause chromatin fragmentation in apoptosis. They are inactive, so first they should be activated. Cytochrome 'c' binds with Apaf-1 and this complex activates caspases. Caspases cause fragmentation of chromatin and also activate endonuclease. About option 'b' Though Apaf-1 helps in activation of caspases, it has no role in chromatin framentation and It does not have two seprate forms active or inactive. It just forms complex with cytochrome 'C' to activate caspases. REF: ROBBINS pathology 10th edition